Mizuo-phenomenon is seen in:
1. Fundus albipathicus
2. Fundus flavimaculatus
3. Oguchi's disease
4. Choroideremia

Correct answer: 3. Oguchi's disease

Explanation: Ans. Oguchi's disease